All the following features are morphological features of apoptosis except
1. Cell shrinkage
2. Chromatin condensation
3. Inflammation
4. Apoptotic bodies

Correct answer: 3. Inflammation

Explanation: Ref, Robbins 7/e p27,9/e p56.